Mugging is:
1. When the neck of the victim is held in the bend of the elbow.
2. Compression of neck by human hands.
3. When the neck is compressed by using 2 bamboo sticks.
4. When the external respiratory orifice are closed by the hand or other means.

Correct answer: 1. When the neck of the victim is held in the bend of the elbow.

Explanation: Ans: a (When the neck......elbow) Ref: Reddy, 27th ed,p. 312Mugging is described as strangulation caused by holding the neck of the victim in the bend of the elbow.Throttling - Asphyxia produced by compression of the neck by human hands.Bansdola - One bamboo stick is placed across the back of the neck and another across the front. Both the ends are tied with a rope due to which the victim is squeezed to death.Garroting - The throat is grasped from behind or a ligature is thrown over the neck and quickly tightened by twisting it with a lever which results in sudden loss of consciousness and collapse.Smothering - Asphyxia is caused by closing the external respiratory orifices either by the hand or by other means.Gagging - This is a form of asphyxia which results from pushing a cloth or soft object into the mouth or the closure of mouth and nose by a cloth or similar material which is tied around the head.Burking - It is a method of homicidal smothering and traumatic asphyxia. In this the victim is thrown to the ground and a person sits on the chest and closes the nose and mouth with his hands and another person pulls the victim round the room by the feet.Lynching is a homicidal hanging of a suspect or accused by the mob.